Painless terminal hematuria is seen as one of the manifestations in the infection caused by:
1. Schistosoma Japonicum
2. Schistosoma mansoni
3. Schistosoma haematobium
4. Plasmodium falciparum

Correct answer: 3. Schistosoma haematobium

Explanation: Ans. (c)Schistosoma Japonicum and Schistosoma mansoni - inhabit the rectal venous plexus and portal venous system.Schistosoma haematobium - inhabits the vesical venous plexus.In infection with Schistosoma haematobium recurrent painless haematuria results from ulcers of the bladder. A burning sensation while micturition and/or suprapubic discomfort may be associated with it. It is associated with bladder cancer.